Actinomyces differs from bacteria in that:
1. Gram positive
2. Filamentous organism
3. Non-motile
4. Non-acid fast

Correct answer: 2. Filamentous organism

Explanation: Ans. is. 'b' i. e. Filamentous organism